Cabot rings can be seen in which of the following?
1. Megaloblastic anemia
2. Sickle cell disease
3. Iron deficiency anemia
4. Autoimmune hemolytic anemia

Correct answer: 1. Megaloblastic anemia

Explanation: Cabots rings: - Thin, thread like, red to violet / loop or figure-of-8 shaped inclusions in RBC, which are remnants of Mitotic spindles. - These are seen in conditions like Megaloblastic anemia Thalassemia Post splenectomy